Magnan's symptom', 'crack lung' and 'crack dancing' are seen in chronic use of
1. Alchol
2. Canabis
3. Cocaine
4. Barbiturates

Correct answer: 3. Cocaine

Explanation: Chronic use of cocaine The face will be pale, eyes sunken and marked evacuation, black discoloration of teeth and involuntary tooth grinding(bruxism) There may be persistent rhinitis nasal erosion with perforation Males suffer from loss of libido, impotence and infertility. Females suffer from galactorrhoea, amenorrhoea, and infertility. The person may suffer from paranoid or depressive psychosis, hallucinations, delusions, convulsions, and delirium due to degenerative changes in CNS The person may have tactile hallucination that insects are crawling under the skin. This is called Magnan's symptom or Cocaine bugs/ formication. Crack lung refers to hypersensitivity, bronchospasm, dysnoea, and pneumonia occurs as a result of cocaine smoking. crack dancing refera to extra pyramidal signs and symptoms after cocaine intake. Ref: FORENSIC MEDICINE AND TOXICOLOGY Dr PC IGNATIUS THIRD EDITION PAGE 485